Rake angle is negative
1. If rake face is before/ahead of radial line
2. If rake face is inline with radial line
3. If rake face is behind radial line
4. None of the above

Correct answer: 1. If rake face is before/ahead of radial line